Which female genital malignancy is most common in pregnancy ?
1. Ovarina cancer
2. Vaginal vulvar cancer
3. Endometrial cancer
4. Cervical cancer

Correct answer: 4. Cervical cancer

Explanation: Cervical cancer accounts 13.5% Ovarian cancer 10.5% Others 12.6% Ref. Williams Obs 24/e p1221